True about summation -
1. Temporal summation is application of two stimuli together
2. Spatial summation is application of two stimuli one after another
3. Subthreshold stimuli are used
4. All are true

Correct answer: 3. Subthreshold stimuli are used

Explanation: Ans. is 'c' i.e., Subthreshold stimuli are usedSummationo A subthreshold stimulus does not produce a response, but when more than one subthreshold stimuli are applied response is produced.o The application of two subthreshold stimuli may be sufficiently quickly, one by another (temporal summation) or two subthreshold stimuli together at diferent places (Spatial summation).o Summation is due summation of EPSP in synapses (at post-synaptic neuron).